False about Allergic bronchopulmonary aspergillosis
1. Aspergillus fumigatus is M/C cause
2. History of asthma
3. Elevated serum IgE levels
4. Distal bronchiectasis is primary diagnostic Criteria

Correct answer: 4. Distal bronchiectasis is primary diagnostic Criteria

Explanation: Central / Proximal bronchiectasis is a Primary diagnostic Criteria.